Pseudotumor cerebri is most commonly seen in
1. Obese females in the age group 20-45 years
2. Obese males in the age group 20-45 years
3. Thin built females in the age group 50-60 years
4. Thin built males in the age group 50-60 years

Correct answer: 1. Obese females in the age group 20-45 years

Explanation: Ans. a. Obese females in the age group 20-45 years Pseudotumor cerebri is most commonly seen in obese females in the age group 20-45 years. Pseudotumor Cerebri (Idiopathic Intracranial Hypertension) Benign self-limiting disorder with a favorable outcome Majority of patients are young, female and obesee It occurs due to decreased CSF absorptione Mostly idiopathic in nature but seen in hypervitaminosis, expired tetracyclines, OCPs and steroid usee Causes of Pseudotumor Cerebri High doses of vitamin AQ Withdrawal of corticosteroid therapyQ Outdated TetracyclineQ Addison's diseaseQ QuinolonesQ SLEQ HypoparathyroidismQ Clinical Features: Manifested by headache, papilledema, normal CSF and normal ventricle size on imaging. No focal neurological signs Characteristic features of Pseudotumor Cerebri Elevated intracranial pressure (intracranial hypertension) with: Normal or Small sized ventricular systemQ No focal neurological signse PapilledemaQ(enlarged blind spot in visual fluid) Normal CSF findingse Normal CT scan, MRI and isotope brain scane Excessive slow-wave activity on ECGe Treatment: Carbonic anhydrase inhibitor (acetazolamide) lowers ICP by reducing the production of CSF. Weight reduction is vital but often unsuccessful. If acetazolamide and weight loss fail and visual field loss is progressive, a shunt should be performed without delay to prevent blindness. Occasionally, emergency surgery is required for sudden blindness caused by fulminant papilledema